Recurrent laryngeal nerve supplies all EXCEPT
1. Vocalis
2. Cricothyroid
3. Thyro arytenoid
4. Cricoarytenoid

Correct answer: 2. Cricothyroid

Explanation: (Cricothyroid): (257-BDC-3 6th edition)Cricothyroid is supplied by the external laryngeal branch of the superior laryngeal nerveRight recurrent laryngeal nerve supplies1. All intrinsic muscles of larynx except cricothyroid2. Sensory nerves to the larynx below the vocal cords3. Cardiac branches to deep cardiac plexus4. Trachea and oesophagus5. Inferior constrictor